Hounsfield unit is zero for which of the following?
1. Air
2. Water
3. Fat
4. Dense bone

Correct answer: 2. Water

Explanation: Hounsfield units are used to measure the X ray attenuation in CT scan. Depends on absorption/attenuation coefficient. Water is assigned a HU value of 0.